Which of the following is used as best root end filling:
1. MTA
2. Amalgam
3. ZOE
4. Calcium hydroxide

Correct answer: 1. MTA